An i.v. bolus dose of thiopentone leads to loss of consciousness within10-15 sec. The patient regains consciousness in just a few minutes. This is because it is:
1. Renally excreted
2. Exhaled rapidly
3. Rapidly metabolised by hepatic enzymes
4. Redistributed from brain to other body tissues

Correct answer: 4. Redistributed from brain to other body tissues

Explanation: Thiopentone - is highly lipid soluble agent - it first reach the highly perfused organs like brain - Therefore, onset of action of these agents is very quick. However, action also terminates quickly because of redistribution to less well perfused tissues like fat and muscle.